All of the following are contents of deep perineal pouch except
1. Membranous part of urethra
2. Prostatic part of urethra
3. Transversus perinei profundus
4. Cowper glands

Correct answer: 2. Prostatic part of urethra

Explanation: The deep perineal pouch contains: Membranous portion of the urethra (males) / proximal portion of urethra (females) External urethral sphincter (and membranous urethra) & Deep transverse perineal muscle Bulbourethral gland of Cowper (males) Neuro-vascular bundle